The lipid and protein percentage in Chylomicrons is respectively:
1. 90-93, 6-8
2. 98-99, 1-2
3. 79, 21
4. 94-95, 5-6

Correct answer: 2. 98-99, 1-2